Common bone to fracture with fall on outstretched hand is:
1. Radius
2. Ulna
3. Scaphoid
4. Lunate

Correct answer: 1. Radius

Explanation: Ref. Textbook of Orthopedics, Ebnezar. Page. 168
 
The most common location will be radius
A fall onto an outstretched arm may cause the following injuries

Fracture of the clavicle
Fracture of the surgical head of the humerus
Supracondylar fracture of the humerus
Fracture of the head and neck of the radius
Galeazzi fracture dislocation
Colles' fracture
Radial styloid fracture
Fracture of the scaphoid
Fracture of the triquetral